All of the following are division of the Vth cranial nerve except -
1. Ophthalmic
2. Optic
3. Mandibular
4. Maxillary

Correct answer: 2. Optic

Explanation: Ans. is 'b' i.e., Optic o Trigeminal nerve has 3 motor branches -- Ophthalmic, mandibular, maxillary,o Trigeminal nerve has 4 nuclei:Sensory: Sensory to faceMotor : To temporalis, masseter, tensor tympani, tensor veli palatine, mylohypid, anterior belly digastrics.Mesencephalic nucleus: Unipolar nerve cells in lateral part of grey matter around aqueduct.Spinal nucleus : Extends as far as C2 segment spinal cord.